Tirofiban is a:
1. Monoclonal antibody
2. Antiplatelet drug
3. Anti-inflammatory drug
4. Antianginal drug

Correct answer: 2. Antiplatelet drug

Explanation: Tirofiban is an antiplatlet drug that acts as a glycoprotein IIa /IIIb receptor antagonist. From medical pharmacology padmaja 4th edition Page no 343